All are used in hairy cell leukemia except -
1. Steroids
2. Alpha interferon
3. Pentostatin
4. Splenectomy

Correct answer: 1. Steroids